Curie is the unit for -
1. Radiation emitted
2. Radiation absorbed
3. Radioactivity
4. All of the above

Correct answer: 3. Radioactivity

Explanation: Park's textbook of preventive and social medicine 23rd edition. * The activity of a radioactive material is the number of nuclear disintegration per unit time.the unit of activity was Curie earlier and Becquerel now.